Eye drops of which sulphonamide is used clinically ?
1. Sulfacetamide
2. Sulfamethoxazole
3. Sulfinpyrazone
4. All

Correct answer: 1. Sulfacetamide